The most mobile part of the tympanic membrane:
1. Central
2. Peripheral
3. Both
4. None of the above

Correct answer: 2. Peripheral